Under Insecticide Treated Bed N ets Program me, insecticide used is
1. Deltamethrin
2. Malathion
3. Lindone
4. Fenitrothion

Correct answer: 1. Deltamethrin

Explanation: Inseccide Treated Bed Nets (ITBN) Programme (esp. deltamethrin) has resulted in significant decline in malaria incidence and API Average decline in anopheline mosquito density - 68% Average decline in cuicine mosquito density - 50%
Chemicals used in ITBN Programme : Synthec pyretheroids Deltamethrin : 2.5% in dosage of 25 mg/m2 Cyfluthrin: 5% in dosage of 50 mg/m2 Other inseccides used : Permethrin, Lambdacyhalothrin, Etofenprox, Cypermethrin
Effecveness of pyrethroids: For 6-12 months (Retreatment every 6 months)
Long-lasng inseccidal mosquito nets (LLINs) :

Also use pyrethroid inseccides, and a chemical binder that allows the nets to be washed > 20 mes, allowing use for > 3 years.